Which of the following is the ovarian counterpart of testicular seminoma?
1. Brener's tumor
2. Endodermal sinus tumor
3. Dermoid
4. Dysgerminoma

Correct answer: 4. Dysgerminoma

Explanation: Ans. d (Dysgerminoma) (Ref Robbins 7th/1101)DYSGERMINOMA# Ovarian counterpart of testicular seminoma.# Relatively uncommon (2% ovarian tumors)# 80% to 90% unilateral# 75% occur in Second to third decades# May occur with gonadal dysgenesis/pseudohermaphroditism.# Raised HCG Q ;No endocrine function# All are malignant# But only one-third aggressive and spread.# Overall survival rate exceeds 80%.# All (extremely) radiosensitive. # Pathology:- Solid large to small gray masses.- Sheets or cords of large cleared cells separated by scant fibrous strands.- Stroma may contain lymphocytes and occasional granuloma.- May have syncytiotrophoblastic giant cells Peak IncidenceUsual locationMorphologic FeaturesBehavior Germ-Cell Origin DysgerminomaSecond to third decades Occur with gonadal dysgenesis80%-90% unilateralCounterpart of seminoma Solid large to small gray masses.Sheets/ cords of large cleared cells separatd by scant fibrous strands. Stroma may contain lymph ocytes and occa granuloma.All malignant but only one-third aggressive and spread; all radiosensitive with 80% cure.ChoriocarcinomaFirst three decades of lifeUnilateralIdentical to placental tumor.Often small, hemorrhagic focus with 2 types of epithelium thelium; cytotrophoblast syncytiotrophoblast.Metastasizes early-widely. 1deg focus may disintegrate, leaving only "mets." In contrast to placental tumors, ovarian primaries resistant to chemotherapy.Sex Cord Tumors Granulosa-thecal cellMostly postmeno- pausal but at any ageUnilateralMay be tiny or large, gray to yellow (with cystic spac) Composed of mixture of cuboidal granulosa cells in cords, sheets,or strands &May elaborate large amounts of estrogen (from thecal elements) and so may promote endometrial or breast carcinoma. Granulosal lipid-laden thecal cells.Granulosal elements may recapitulate ovarian follicle as 'Call-Exner' bodies.element may be malignant (5% to 25%).Thecoma-fibromaAny ageUnilateralSolid gray fibrous cells to yellow (lipid-laden) plump thecal cells.Most hormonally inactive.Few elaborate estrogens.About 40%,produce ascites and hydrothorax (Meigs synd). Rarely malignant.Sertoli- Leydig cellAll agesUnilateralUsually small, gray to yellow- brown, and solid. Recaps dev of testis with tubules, or cords and plump pink Sertoli cells.Many masculinizing or defeminizing. Rarely malignant.Metastases to OvaryOlder agesBilateralUsually solid graywhite masses as large as 20 cm diam.Anaplastic tumor cells, cords, glands, dispersed thro fibrous background. Cells may be "signet-ring" mucin-secreting.Primaries are gastro- intestinal tract(Krukenberg tumors), breast, and lung.